Crimean Congo hemorrhagic fever vector:
1. Brucella suis
2. Hyalomma tick
3. Brucella abortus
4. Brucella canis

Correct answer: 2. Hyalomma tick

Explanation: Ans. b. Hyalomma tickCRIMEAN CONGO HEMORRHAGIC FEVERCausative agent: NairovirusVector: Hyalomma TickIP: 1-13 days (Median 5-6 days)Other three options are causative agent for Brucellosis.